Which of the following are immune complex lesions in SBE –
1. Osler nodes
2. Microscopic hematuria
3. Roth spots
4. All of these

Correct answer: 4. All of these

Explanation: Features of immunological response presenting as vasculitis due to infection are : -

Arthralgia             
Clubbing                     
Microscopic hematuria due to glomerulonephritis
Myalgia                 
Osier's nodes             
Splenomegaly
Petechiae               
Janeway lesion